Regarding propofol, which one of the following is false -
1. It is used as an intravenous induction agent
2. It causes severe vomiting
3. It is painful on injecting intravenously
4. It has no muscle relaxant property

Correct answer: 2. It causes severe vomiting

Explanation: Ans. is 'b' i.e., It causes severe vomiting Propofol has anti-emetic action.